Which of the following is included in Celiac sprue diet?
1. Wheat
2. Barley
3. Rye
4. Quinoa

Correct answer: 4. Quinoa

Explanation: Treatment of Gluten sensitive Enteropathy /Celiac Sprue: Stop wheat/oat/rye/barley (BROW) Start Quinoa, Maize, rice (small amounts Gluten +) Iron supplementation for microcytic anemia Folic acid supplementation for macrocytic anemia.